Most important Essential Fatty Acid is
1. Linoleic Acid
2. Linolenic Acid
3. Arachidonic Acid
4. Eicosapentanoic Acid

Correct answer: 1. Linoleic Acid

Explanation: Essential Fatty Acids (EFA): Are those that cannot be synthesized in human body; they can only be derived from the food
The most important EFA is Linoleic Acid, which serves as a basis for production of other EFA

Dietary sources of EFA: